What are the clinical uses of Amantadine
1. Prophylaxis and treatment of influenza A
2. Treatment of Parkinson's symptoms
3. Treatment of drug induced extra pyramidal symptoms
4. All of the above

Correct answer: 4. All of the above

Explanation: GLUTAMATE (NMDA receptor) ANTAGONIST(Dopamine facilitator) Amantadine Developed as an antiviral drug for prophylaxis of influenza A2, it was found serendipitiously to benefit parkinsonism. Mech of action:- Amantadine promotes presynaptic synthesis and release of DA in the brain and has anticholinergic property. These were believed to explain all its beneficial effect in parkinsonism. However, anantagonistic action on NMDA type of glutamate receptors, through which the striatal dopaminergic system exerts its influence is now considered to bemore important. Side effects:- Insomnia, restlessness, confusion, nightmares, anticholinergic effects and rarely hallucinations. A characteristic side effect due to local release of CAs resulting in postcapillary vasoconstriction is livedo reticularis (bluish discolouration) and edema of ankles. Ref:- kd tripathi; pg num:-432,433